Nerve related to anatomical snuff box ?
1. Ulnar
2. Median
3. Superficial branch of radial
4. Axillary

Correct answer: 3. Superficial branch of radial

Explanation: ANATOMICAL SNUFF BOX is a triangular depression on the lateral side of the wrist. BOUNDARIES: ANTERIOR-Tendons of abductor pollicis longus and extensor pollicis brevis. POSTERIOR: Tendon of extensor pollicis longus Limited above by Styloid process of the radius. FLOOR: Scaphoid and Trapezium. CONTENTS: Superficial branch of radial nerve radial artery cephalic vein Ref - BD Chaurasia 7th edition Page no: 136